All of the following can be attributed to enzymatic catalysis, EXCEPT:
1. Entropy reduction
2. Solvation of active site
3. Reduction of activation energy
4. Catalysis by strain

Correct answer: 2. Solvation of active site

Explanation: The active sites of enzymes usually occur in clefts and crevices of the protein. This design has the effect of excluding bulk solvent (water), which would otherwise reduce the catalytic activity of the enzyme. The substrate molecule is desolvated upon binding, and shielded from bulk solvent in the enzyme active site. Option a: Entropy reduction - enzymes bring the substrates molecules very close and helps to reduce the entropy. Option c: reduction of activation energy is the mechanism of enzyme action. Option d: Catalysis by strain is shown in the image. Most of the lyases act in this way. Option b is a tricky one. Water is excluded from the active site until unless it is a reactant. Substrates are desolvated by the enzyme. So, solvation is a wrong answer.